Treatment of submandibular salivary gland ductcalculi is -
1. Excision of submandicular gland
2. Opening the duct at the frenulum
3. Opening the duct and removal of calculus
4. Excision of gland and duct

Correct answer: 3. Opening the duct and removal of calculus

Explanation: Ans. is 'c' i.e. Opening the duct & removal of calculus